A 35 year old patient having persistent allergic rhinitis, asthmatic episodes with peripheral hypereosinophilia. Histological findings are shown below. What is your diagnosis?
1. Behcet Disease
2. Churg-Strauss syndrome
3. Kawasaki disease
4. Buerger disease

Correct answer: 2. Churg-Strauss syndrome

Explanation: The above image shows eosinophil-rich vasculitis. Churg-Strauss syndrome is a small-vessel necrotizing vasculitis classically associated with asthma, allergic rhinitis, lung infiltrates, peripheral hypereosinophilia, and extravascular necrotizing granulomas. Vascular lesions can be histologically similar to polyarteritis nodosa or microscopic polyangiitis, but are also characteristically accompanied by granulomas and eosinophils.